Gingiva in children
1. More keratinised more stippled
2. More keratinised less stippled
3. Less keratinised more stippled
4. Less keratinised less stippled

Correct answer: 4. Less keratinised less stippled